Phase 4 clinical trial also called as?
1. Human pharmacology and safety
2. Post marketing surveillance
3. Therapeutic exploration and dose ranging
4. Therapeutic confirmation

Correct answer: 2. Post marketing surveillance